The following statements about Bupivacaine are true except:
1. More cardio toxic than Lignocaine
2. 0.25 percent is effective for sensory block
3. Long acting drug
4. It produces methaemoglobinaemia

Correct answer: 4. It produces methaemoglobinaemia

Explanation: Methaemoglobinaemia is caused by prilocaine and benzocaine Prilocaine is the only local anesthetic that is metabolized to o -toluidine, which converts hemoglobin to methemoglobin producing methemoglobinemia. This is usually significant with doses of prilocaine as large as 600mg. Benzocaine used in topical local anesthetic sprays can also cause dangerous Methemoglobinemia. Treatment of medically important methemoglobinemia includes intravenous methylene blue (1-2 mg/kg of a 1% solution over 5 min). Methylene blue acts by reducing methemoglobin (Fe 3+ ) to hemoglobin (Fe 2+ ).